During an attempted extraction of upper posterior teeth, to determine the position of the roots displaced into antrum, ideal radiograph would be
1. Bitewing radiography of maxillary posteriors
2. IOPA of mandibular posterior teeth
3. Upper oblique occlusal radiograph
4. Lateral oblique view of mandibular posteriors

Correct answer: 3. Upper oblique occlusal radiograph